Culture of streptococcus viridans resemble-
1. Staphylococcus
2. Strept. pyogenes
3. Pneumococcus
4. Strept. fecalis

Correct answer: 3. Pneumococcus

Explanation: Ans. is 'c' i.e., Pneumococcus On blood agar, after incubation for 18 hrs, the colonies of pneumococci are small, dome shaped and glistening with an area of green discoloration (alpha hemolysis) around them, resembling colonies of Str. viridans.